A 25 year old patient complains of Crushing chest discomfort for 45 minutes, no significant medical history. ECG is normal. His chest pain improved with sublingual nitroglycerin diagnosis is
1. Diffuse esophagial spasm
2. Myocardial infarction
3. Anxiety attack
4. scleroderma

Correct answer: 1. Diffuse esophagial spasm

Explanation: DES →
Chest pain simulate that of MI
Pain can be precipitated by drinking cold liquids.